Hepatic granulomas are seen with:
1. Halothane
2. Chlorpromazine
3. Sulfonamides
4. Methyldopa

Correct answer: 3. Sulfonamides

Explanation: Morphologic alterations due to drugs may also include bridging hepatic necrosis (e.g., methyldopa), or hepatic granulomas (e.g., sulfonamides). Reference: Harrisons Principles of Internal Medicine, 18th Edition, Page 2560